Urogenital Diaphragm is made up of the following, except:
1. Deep transverse Perineus
2. Perinial membrane
3. Colle's fascia
4. Sphincter Urethrae

Correct answer: 3. Colle's fascia

Explanation: Colle's fascia does not contribute to the Urogenital Diaphragm. It is attached posteriorly to the posterior border of the urogenital diaphragm but does not form part of this diaphragm. Ref: BDC, Volume 2, 4th Edition, Page 332; Grants Method of Anatomy, 11th Edition, Page 244; Gray's Anatomy, 36th Edition, Page 563